Stainless steel is used mostly in dentistry:
1. To strength amalgam
2. In orthodontic wires
3. To construct clasps for partial dentures
4. To replace internal gold restorations

Correct answer: 2. In orthodontic wires